Drug not used for multiple myeloma is -
1. Boezonib
2. Lenalidomide
3. Methotrexate
4. Prednisone

Correct answer: 3. Methotrexate

Explanation: Drugs used in multiple myeloma include bortezomib(proteasome inhibitor) & lenalidomide( a derivative of thalidomide ) as first line treatment .In older patients ,thalidomide combined with melphalan & prednisolone is used. Thalidomide has both anti-angiogenic effects against tumour blood vessels & immunomodulatory effects.Reference :Davidson's principles & practice of medicine 22nd edition pg no 1047.